Amyloidosis is associated with which thyroid carcinoma?
1. Papillary
2. Follicular
3. Anaplastic
4. Medullary

Correct answer: 4. Medullary

Explanation: Ans. is 'd' i.e., Medullary Amyloid proteinPrecursorSyndrome or involved tissueAbAb protein precursor (AbPP)Alzheimer's diseaseAPrPPrion proteinSpongiform encephalopathyA CalCalcitoninMedullary carcinoma of thyroidAIAPPIslet amyloid polypeptideType II diabetes, InsulinomasAANFAtrial natriuretic factorIsolated atrial amyloid